All are true regarding early postcibal syndrome Except
1. Distention of abdomen
2. Managed conservatively
3. Hypermotility of intestine is common
4. Surgery is usually indicated

Correct answer: 4. Surgery is usually indicated

Explanation: Most of the cases of post-cibal or dumping syndrome can be managed by dietary management or medications (anticholinergic agents, antidiarrhoeal, octreotide). Only a small percentage of patients need surgery. Ref : Schwartz 9/e p942